In severe acute malnutrition, hypoglycemia is defined as?
1. Blood glucose level < 40 mg/dl
2. Blood glucose level <45 mg/dl
3. Blood glucose level <50 mg/dl
4. Blood glucose level <54 mg/dl

Correct answer: 4. Blood glucose level <54 mg/dl

Explanation: In severe acute malnutrition, hypoglycemia is defined as: Blood glucose level <54 mg/dl For correction ofasymptomatichypoglycemia,50 mlof 10% glucose or sucrose solution should be given orally or by nasogastric tube. For correction ofsymptomatichypoglycemia,5 ml/kgof 10% dextrose should be given intravenously. This should be followed with 50 ml of 10% dextrose or sucrose solution by nasogastric tube. Hypoglycemia, hypothermia and infection generally occur as a triad in SAM.